Which of the following is the best explanation for the mechanism of the action of the intrauterine device (IUD)?
1. Hyperperistalsis of the fallopian tubes accelerates oocyte transport and prevents fertilization
2. A subacute or chronic bacterial endometritis interferes with implantation
3. Premature endometrial sloughing associated with menorrhagia causes early abortion
4. A sterile inflammatory response of the endometrium prevents implantation

Correct answer: 4. A sterile inflammatory response of the endometrium prevents implantation

Explanation: The making of a sterile inflammatory reaction: Polymorphonuclear leukocytes, giant cells, plasma cells, and macrophages are seen in the endometrium after placement of an IUCD. Biochemical changes in the endometrium include changing levels of lysosomal hydrolases, glycogen deposition, oxygen composition, total proteins, acid and alkaline phosphatases, urea phospholipids, and RNA/DNA ratios. IUDs treated with copper and progesterone exert additional effects. Copper decreases in sperm motility and function with inability of the sperm to pass through the uterine cavity. Progesterones cause the endometrium to become atrophic and un receptive for an implantation, along with making the cervical mucus thick